Slowest conduction velocity is seen in which nerve fiber?
1. A-alpha
2. A-beta
3. A-delta
4. C fiber

Correct answer: 4. C fiber

Explanation: ANSWER: (D) C fiberREF: Ganong, 22nd edition, Table 2-1Types of Nerve Fibres:FibreTypeFunctionFibreDiameter (u)Conduction Velocity (m/s)SpikeDuration(ms)Absolute Refractory Period (ms)A aProprioception; somatic motor12-2070-1200.4-0.50.4-1AbTouch, pressure, motor5-1230-70 AgMotor to muscle spindles3-615-30 AdPain, cold, touch2-512-30 BPreganglionic autonomic<33-151.21.2CPain, temperature, some0.4-1.20.5-222(Dorsal root)mechano receptor, reflex responses CPostganglionic sympathetic0.3-1.30.7-2.322(Sympathetic) - A and B fibres are myelinated; C fibres are unmyelinated.